Postmortem caloricity is seen in :
1. Strychinine poisoning
2. Organophosphorus poisoning
3. Dhatura poisoning
4. Ergot poisoning

Correct answer: 1. Strychinine poisoning

Explanation: A i.e. Strychinine poisoning